Naltrexone is used for which of the following function in opioid addiction ?
1. Prevention of relapse
2. Treatment of withdrawal
3. Treatment of overdose
4. Prevention of withdrawal

Correct answer: 1. Prevention of relapse